A 28 year old patient presented with history of suspiciousness, hearing voices not heard by other, aggression, poor sleep and appetite for last 3 months. During investigations, his ECG was done and it showed QTc of 480 ms. Which of the following drugs should be avoided in this patient?
1. Ziprasidone
2. Aripiprazole
3. Clozapine
4. Risperidone

Correct answer: 1. Ziprasidone

Explanation: Antipsychotics causing QT prolongation : Ziprasidone Amisulpiride Quetiapine Thioridazone Pimozide